Investigation of choice to diagnosis Hirschsprug's disease is:
1. Rectal manometry
2. Barium enema
3. Rectal biopsy
4. Laparotomy

Correct answer: 3. Rectal biopsy

Explanation: Ans. is 'c' i.e. Rectal biopsy RepeatYou already know about the features of Hirschsprung's disease seen on contrast enema from the question asked earlierMore about the diagnosis of Hirschsprung's disease -Definitive diagnosis of Hirschsprung's disease is made by Rectal biopsy :It demonstrates following features-Absence of ganglion cells in Meissner's plexus, and myenteric plexusHypertrophy of nerve trunksManometric study - Manometric studies will show a failure of relaxation of internal sphincter following rectal distension.